The most sensitive Indicator of Depletion of intravascular volume in infant is
1. Cardiac output
2. Stroke volume
3. Heart rate
4. Blood pressure

Correct answer: 3. Heart rate

Explanation: The most sensitive indicator of depletion of intravascular volume in infant is Heart rate. Reference: GHAI Essential pediatrics, 8th edition